Babloo a 4 year male presents with history of seizures. On examination there is hypopigmedted patches on face & intellectual disability. Most probable diagnosis is –
1. Neurofibromatosis
2. Tuberous sclerosis
3. Sturge weber syndrome
4. Incontinenta pigmenti

Correct answer: 2. Tuberous sclerosis

Explanation: Seizures, intellectual disability and hypopigmented patches on face (Ash - leaf spot) suggest the diagnosis of tuberous sclerosis.